Amylnitrate is used in which of the following poisoning-
1. Hydrocyanide poisoning
2. Red phosphorus
3. Yelow phosphorus
4. Arsenic poisoning

Correct answer: 1. Hydrocyanide poisoning

Explanation: Amyl nitrite is used as an antidone in poisoning of hydrocyanic acid (cyanide).